Most common cause of stridor in children is:
1. Laryngomalacia
2. Congenital laryngeal paralysis
3. Foreign body in larynx
4. Congenital laryngeal tumours

Correct answer: 1. Laryngomalacia

Explanation: (Laryngomalacia) (272-D)Laryngomalacia - (congenital laryngeal stridor)* It is the most common condition causing an inspiratory stridor at or shortly after birth.* It may persist throughout infancy & disappears by 2 years of age* Stridor increased on crying but subsides on placing the child in prone position, cry is normal.* Foreign bodies in the larynx are uncommon because they are either coughed out or causes fatal obstruction within a few minutes. If helps is not to hand.